Janani suraksha v ojana includes?
1. Tetanus immunization
2. Institutional deliveries
3. Iron supplementation
4. Abortions

Correct answer: 2. Institutional deliveries

Explanation: Ans. is 'b' i.e., Institutional deliveries o Salient features of JSY: i) It is 100% centrally sponsored ii) It combines 'benefit of cash assistance with institutional care' iii) Eligibility of cash assistance. a) In low perfbrming states (LPS) : All women undergoing institutional deliveries b) In high performing slates (HPS) : Below poverty line women aged 19 years and above; SC/ST pregnant women